Among NSAIDs aspirin is unique because it :
1. Irreversibly inhibits its target enzyme
2. Reduces the risk of colon cancer
3. Reduces fever
4. Selectively inhibits COX-2 enzyme

Correct answer: 1. Irreversibly inhibits its target enzyme